All of these are the adverse effects of naloxone in the treatment of opioid poisoning except:
1. Hypertension
2. Pulmonary edema
3. Seizures
4. Ventricular dysrrythmia

Correct answer: 3. Seizures

Explanation: Ref: Goodman and Gilman 12th/511 Anyagonism of opioid effects by naloxone is often accompanied by an 'OVERSHOOT' phenomenon *Respiratory rate depresse do by opioids transiently becomes higher than before the period of depression. *Rebound release of catecholamines may cause hypertension, tachycardia and ventricular arrhythmias. *Pulmonary edema also has been reported after naloxone administration.